Commonest histological finding in benign hypertension is aEUR'
1. Proliferative endarteritis
2. Necrotizing arteriolitis
3. Hyaline arteriosclerosis
4. Cystic medial necrosis

Correct answer: 3. Hyaline arteriosclerosis

Explanation: Hyaline arteriosclerosis Hyaline arteriosclerosis consists of homogenous pink hyaline thickening of the wall of the arterioles with loss of underlying structural detail. Encountered .frequently in elderly patients whether normotensive or hypertensive, hyaline arteriosclerosis is more generalized and more severe in patients with hypertensiondeg. It is also common in diabetesdeg as a part of the characteristic microangiopathy. Pathogenesis The lesion reflects leakage of plasma components across vascular endothelium and excessive extracellular matrix production by smooth muscle cells secondary to the chronic hemodynamic stress of hypertension or a metabolic stress in diabetes that accentuates endothelial cell injury. Also know Hyperplastic arteriosclerosis It is characteristic of malignant hypertensionQ. There is concentric laminated thickening of arteriolar wall onion thickenine There is mucinous intimal thickening and fibrous intimal thickening. There may be accompanied .fibrinoid deposite with necrosis of the vessel wall --,vfibrinoid necrosisQ.